Omega three fatty acid is?
1. Linoleic acid
2. Arachidonic acid
3. Cervonic acid
4. Oleic acid

Correct answer: 3. Cervonic acid

Explanation: Ans. is 'c' i.e., Cervonic acid